An old patient of tubercular meningitis is not responding to treatment. A new combination of drugs has to be prescribed for a prolonged period. Which one of the following should not be prescribed in this case -
1. Rifampicin
2. Ofoxacin
3. Dehydrostreptomycin
4. Pyraxinamide

Correct answer: 3. Dehydrostreptomycin